Non ischaemic chest pain is caused by -
1. Bleomycin
2. Vincristinum
3. Cyclophosphamide
4. Cisplatinum

Correct answer: 1. Bleomycin